A patient developed fasciculations when a muscle relaxant was administered for a surgery. Train of fasciculations is seen in:
1. Mivacurium
2. Succinylcholine
3. Baclofen
4. Gallamine

Correct answer: 2. Succinylcholine

Explanation: The onset of paralysis by succinylcholine is usually signaled by visible motor unit contractions called fasciculations. These can be prevented by pretreatment with a small dose of nondepolarizing relaxant. Fasciculations are typically not observed in young children and elderly patients. Ref: Morgan, Jr. G.E., Mikhail M.S., Murray M.J. (2006). Chapter 9. Neuromuscular Blocking Agents. In G.E. Morgan, Jr., M.S. Mikhail, M.J. Murray (Eds), Clinical Anesthesiology, 4e.